Lymph from glans penis drain into
1. External iliac lymph nodes
2. Internal iliac lymph nodes
3. Deep inguinal lymph nodes
4. Superficial inguinal lymph nodes

Correct answer: 3. Deep inguinal lymph nodes

Explanation: Lymphatics from the glans drain into the deep inguinal nodes also called gland of Cloquet. Lymphatics from the rest of the penis drain into the superficial inguinal lymph nodes.Ref: Vishram Singh; Volume II; 2nd edition; Page no: 464